Earliest symptom of carcinoma rectum is
1. Pain
2. Alteration of bowel habits
3. Bleeding PR
4. Tenesmus

Correct answer: 3. Bleeding PR

Explanation: Early symptoms of rectal cancer # Bleeding per rectum # Tenesmus # Early morning diarrhoea Ref: Bailey & Love's Short Practice of Surgery,E25,Page-1231